All of the following are Causes of ATN except -
1. Radiocontrasts
2. Placenta previa
3. Amphotericin B
4. Abruptio placentae

Correct answer: 2. Placenta previa

Explanation: Ref:Harrison 20th edition pg no. 2101,2099. Causes of intrinsic renal failure (ATN) SMALL VESSELS Glomerulonephritis, vasculitis TTP/HUS,DIC malignant HTN, sepsis Calcineurin inhibitors Atheroemboli Tubules Toxic ATN-endogenous(rhabdomylolysis,hemolysis)-exogenous (contrast ,cisplatin, gentamicin) Ischemic ATN sepsis intratubular Endogenous (myeloma proteins, uric acid, cellular debris) exogenous -acyclovir, methotrexate large vessels Renal artery embolus, dissection, vasculitis, renal vein thrombosis, abdominal compartment syndrome Interstitium allergic (ppi s, NSAIDS, rifampicin. ..) Infection(severe pyelonephritis, legionella, sepsis Infiltration (leukemia ,lymphoma) Inflammatory(sjogrens,tubulointerstitial nephritis. In abruptio placenta, DIC is seen. Ref Harrison20th edition pg 234